A 28-year-old woman recently treated as an outpatient for pelvic inflammatory disease presents with fever, leukocytosis, and deep rectal pain. In which space is this lesion? SELECT ONE.
1. Supralevator space
2. Perianal space
3. Levator ani muscle
4. Intermuscular space

Correct answer: 1. Supralevator space

Explanation: Supralevator abscesses are relatively rare. Most patients have a pelvic inflammatory condition such as salpingitis, diverticulitis or Crohn's, or have had recent pelvic surgery.